Anthrax bacilli differs from anthracoid bacilli by being
1. Non-capsulated
2. Strict aerobe
3. Non-motile
4. Haemolytic colonies on blood agar

Correct answer: 3. Non-motile

Explanation: Differentiating features between anthrax and anthracoid bacilli Anthrax bacilli Anthracoid bacilli Non-motile Generally motile Capsulated Non-capsulated Grows in long chains Grow in short chains Medusahead colony Not present Hemolysis absent or weak Usually well marked Susceptible to gamma phage Not susceptible No growth at 45 deg. C Usually grows No turbidity in broth turbidity usual Ref: Textbook of microbiology; Ananthanarayan anrta paniker's; 10th Edition; Pg:253